Good pasture's syndrome is characterized by
1. Necrotizing hemorrhagic interstitial pneumonitis
2. Alveolitis
3. Patchy consolidation
4. Pulmonary edema

Correct answer: 1. Necrotizing hemorrhagic interstitial pneumonitis